In complete breech what is maintained:
1. Universal flexion
2. Universal extension
3. Flexion at hip and extension at knee
4. Extension of hip and flexion of knee

Correct answer: 1. Universal flexion

Explanation: Ans: a (Universal flexion) Ref: Dutta, 6"' ed, p. 375In complete breech the normal attitude of full flexion is maintained.Thighs are flexed at the hips and the legs at the knees, hence called flexed breech. Frank breech (extended)Complete breech (flexed)Footling breechCommonest typeCommonLess commonSeen in primiSeen in multi para-Engagement occurs at the earliest Engagement occurs lateLeast cord compressionCord compression is more than frankMaximum cord compressionECV failsBest prognosisECV successfulElective CS doneWorst prognosis